Principal cell in granuloma is
1. Lymphocyte
2. Histiocyte
3. Langhyans
4. Giant cell

Correct answer: 2. Histiocyte

Explanation: Ans. is 'b' i.e., Histiocyte Granuloma is characteristic ofgranulomatous inflammation. o The major cell of granuloma is epitheloid cell which is a modified tissue macrophage (histiocyte) that has been transformed into epithelium like cell.